For emergency contraception IUD must be inserted
1. Immediately
2. Within 5 days of coitus
3. Within 7 days of coitus
4. IUD is not used as emergency contraception

Correct answer: 2. Within 5 days of coitus